Commonest fungal infection in neutropenia -
1. Aspergillus Fumigatus
2. Candida
3. Aspergillus calvus
4. Mucormycosis

Correct answer: 2. Candida

Explanation: Ans. is 'b' i.e., Candidao Cell mediated immune responses, especially CD4 cells, are important in controlling mucocutaneous candidiasis. o The neutrophil is probably crucial for resistance to systemic candidiasis.